Which of the following is a metabolite of prodrug Carisoprodol -
1. Amphetamine
2. Meprobamate
3. Doxylamine
4. Dimethadione

Correct answer: 2. Meprobamate

Explanation: Ans. is 'b' i.e., Meprobamate o One of the product of metabolism meprobamate is active as an anxiolytic.